Absorption of Iron is increased by?
1. Tea
2. Coffee
3. Vitamin C
4. EDTA

Correct answer: 3. Vitamin C

Explanation: ANSWER: (C) Vitamin CREF: Harper 28th edition page 463"Inorganic iron is absorbed in Fe2+ state (reduced state). Hence reducing agents promote absorption of Iron. Most important among these are: Vitamin C, Alcohol and Fructose. Absorption of Iron is impaired by Calcium (in milk 8t milk products)"